Good syndrome is
1. Thymoma with immunodeficiency
2. Thymoma with M. Gravis
3. Thymoma with serum sickness
4. Thymoma with pure red cell aplasia

Correct answer: 1. Thymoma with immunodeficiency

Explanation: Ans. is 'a' i.e., Thymoma with immunodeficiency Good's syndrome (thymoma with immunodeficiency) is a rare cause of combined B and T cell immunodeficiency in adults. Clinical features of Good's syndrome are :- Increased susceptibility to bacterial infections with encapsulated organisms and opportunistic viral and fungal infection. The most consistent immunological abnormalities are :- Hypogammaglobulinaemia and Reduced or absent B cells Treatment Resection of the thymoma and immunoglobulin replacement to maintain adequate through IgG values